Apoprotein-A-1 is associated with:
1. LDL
2. VLDL
3. HDL
4. Chylomicrons

Correct answer: 3. HDL

Explanation: Apolipoprotein A-IIt is the major protein component of high density lipoprotein (HDL) in plasma.Chylomicrons secreted from the intestinal enterocyte also contain ApoAl but it is quickly transferred to HDL in the bloodstream.The protein promotes fat efflux, including cholesterol, from tissues to the liver for excretion.It is a cofactor for lecithin cholesterolacyltransferase (LCAT) which is responsible for the formation of most plasma cholesteryl esters.Defects in the gene encoding it are associated with HDL deficiencies, includingTangier disease, and with systemic non-neuropathic amyloidosis.